Contraceptive contraindicated during lactation is:
1. Combined OCP
2. IUD
3. Progesterone only pill
4. None

Correct answer: 1. Combined OCP

Explanation: Ans-A Combined OCPRef: K. Park 23rded. 1503* IUD is considered safe during lactation.* Progesterone Only Pills (mini pills) used mainly within 72 hours of intercourse to reduce the risk of pregnancy.Considered safe during lactation.* Composition of combined OCP: (MALA-N/ MALA-D)# Ethinyl estradiol: 0.03mg (30 meg)# Norgesterol/Desogesterol: 0.15 mg (150 meg)* Adverse effects of combined OCP# Myocardial infarction# Thrombosis# Cervical CA# Breast CA# Hepatocellular adenoma Contraindications of OCPsAbsolute contraindicationRelative contraindication* Breast CA* History of thromboembolism* Abnormal uterine bleeding* Cardiac abnormalities* Age > 40 years* Lactating mothers (0-6 months)* DM, HTN, chronic renal disease* Infrequent bleeding, Amenorrhea* Epilepsy and Migraine